In mammals, DNA synthesis occurs in which part of the cell cycle?
1. S phase
2. G1 phase
3. M phase
4. G2 phase

Correct answer: 1. S phase

Explanation: (A) S phase # Cell Cycle:> M phase: Consists of nuclear division (mitosis) and cytoplasmic division (cytokinesis).> Interphase: After M phase, the daughter cells each begin interphase of a new cycle.> G1 phase: Biosynthetic activities of the cell, which had been considerably slowed down during M phase, resume at a high rate. Synthesis of various enzymes that are required in S phase, mainly those needed for DNA replication.> S phase: Ensuing S phase starts when DNA synthesis commences; when it is complete, all of the chromosomes have been replicated, i.e., each chromosome has two (sister) chromatids. Rates of RNA transcription and protein synthesis are very low during this phase. An exception to this is histone production, most of which occurs during the S phase.> G2 phase Significant protein synthesis occurs during this phase, mainly involving the production of microtubules, which are required during the process of mitosis. Inhibition of protein synthesis during G2 phase prevents the cell from undergoing mitosis.> GO phase: "post-mitotic" is sometimes used to refer to both quiescent and senescent cells. Cellular senescence is a state that occurs in response to DNA damage or degradation that would make a cell's progeny nonviable; it is often a biochemical alternative to the self-destruction of such a damaged cell by apoptosis.